Highest vitamin A content is seen in:
1. Lemon
2. Green leafy vegetables
3. Tomato
4. Ragi

Correct answer: 2. Green leafy vegetables

Explanation: Ans. B i.e. Green leafy vegetables